Which of the following drugs have no role in opioid detoxification?
1. Naloxone
2. Methadone
3. Buprenorphine
4. Clonidine

Correct answer: 1. Naloxone

Explanation: Naloxone is an opioid antagonist which is used in opiod toxicity. It has no role is opioid detoxification. Opioid detoxification DOC -methadone, buprenorphine, dextropropoxyphene (long acting opioids) - Clonidine / lofexidine can also be used NALOXONE is an opioid receptor antagonist and used in case of opioid overdose; NOT in OPOID DETOXIFICATION